Pharmacodynamics deals with:-
1. Mode of excretion of a drug
2. Mechanism of action of a drug
3. Transport of drug across the biological membranes
4. Latency of onset

Correct answer: 2. Mechanism of action of a drug

Explanation: 2 main branches in pharmacology Pharmacodynamics Studies effect of drug on body, i.e. Action of drug. Mechanism of action Pharmacokinetics Studies effect of body on drug, i.e. Absorption Distribution Metabolism Excretion Option A , C , D is studied in pharmacokinetics of drugs.